Basket cells
1. Contains actin
2. Contains myosin
3. Are myoepithelial cells
4. All of the above

Correct answer: 4. All of the above